Hyponatremia is associated with all of the following EXCEPT:
1. SIADH
2. CRF
3. Nephrotic syndrome
4. Lithium therapy

Correct answer: 4. Lithium therapy

Explanation: Ans. D i.e. Lithium therapy